Which inhalational agent is best uterine relaxant?
1. Halo thane
2. Isoflurane
3. Sevofiurane
4. Desflurane

Correct answer: 1. Halo thane

Explanation: ANSWER: (A) HalothaneREF: Synopsis of Anaesthesia p.168Best uterine relaxant is halothane followed by ether